Risser Localiser cast is used in the management of-
1. Kyphosis
2. Spondylolysthesis
3. Idiopathic scoliosis
4. Lordosis

Correct answer: 3. Idiopathic scoliosis

Explanation: Plaster casts and their uses